Q fever is caused by -
1. Pseudomonas
2. Francisella
3. Coxiella burnetii
4. Rickettsia typhi

Correct answer: 3. Coxiella burnetii